Cholinomimetic drugs can be used for the treatment of all the following conditions EXCEPT
1. Closed angle Glaucoma
2. Bradycardia
3. Cobra bite
4. Myasthenia gravis

Correct answer: 2. Bradycardia

Explanation: Ref: 7th edition KD Tripathi (page no:103) ACh hyperpolarizes SA nodal cells, as a results bradycardia occur.so cholinomimetics can't be used for bradycardia. Anticholinergics like atropine should be used for bradycardia Cardiac muscuranic receptor is M2 subtype